All the following are anticonvulsants except:
1. Lamotrigine
2. Methylphenidate
3. Vigabatrin
4. Topiramate

Correct answer: 2. Methylphenidate

Explanation: Ans: B (Methylphenidate) Ref: Goodman & Gilman's The Pharmacological Basis of Therapeutics. 12th ed. 2011. Pg 209, 592, 601. 603 Explanation: Methylphenidate It is structurally similar to amphetamine is a mild CNS stimulant. It is used in the treatment of narcolepsy and attention deficit/hyperactivity disorder. However, at high dose, it can cause CNS stimulation resulting in convulsions. The other drugs mentioned in the options namely lamotrigine. vigabatrin and topiramate are antiepileptic drugs. Lamotrigine It is a broad spectrum antiepileptic used in monotherapy and add-on therapy of partial and generalized tonic-clonic seizures in adults. It is also used in the treatment of Lennox - Gastaut syndrome in both adults and children. The most common adverse effects; Ataxia Blurred division Dizziness Nausea Vomiting Rash Stevens-.lohnsnn syndrome and disseminated intravascular coagulation are also reported with unionizing. Vigabatrin li is used as an adjunctive therapy for refractory partial complex seizures in adults. it is used in the treatment of infantile spasms especially in children with infantile spasms due to tuberous sclerosis. Topiramate It is approved as initial monotherapy in patients at least 10 years old and as adjunctive therapy for patients of 2 years of age for partial onset or primary generalized tonic-clonic seizures. It is also approved for Lennox Gastaut syndrome in patients of age more than 2 years and for prophylaxis of migraia ne in adults.